A pt comes with stage III non seminomatous testicular tumor t/t of choice is -
1. Radiotherapy
2. Chemotherapy
3. Hormonal therapy
4. Surgery

Correct answer: 2. Chemotherapy

Explanation: Stage III is tumor spread beyond the retroperitoneal lymph node
Treatment is primarily chemotherapy